All are methods of sterilization by dry heat except?
1. Flaming
2. Incineration
3. Hot air oven
4. Autoclaving

Correct answer: 4. Autoclaving

Explanation: Ans. is 'd' i.e., Autoclaving